In Von Hippel-Lindau Syndrome, the retinal vascular tumours are often associated with intracranial hemangioblastoma. Which one of the following regions is associated with such vascular abnormalities in this syndrome'?
1. Optic radiation
2. Optic tract
3. Cerebellum
4. Pulvinar

Correct answer: 3. Cerebellum

Explanation: Answer is C (Cerebellum) Von Hipple-Lindau Syndrome is associated with haemangioblastomas of cerebellum, spinal cord, medulla or pons.